Fluoride inhibit enzyme of which ion?
1. Mg
2. Ca
3. Na
4. K

Correct answer: 1. Mg

Explanation: Enolase is a dimeric metal-activated metallo-enzyme, which uses two magnesium ions per subunit: the strongly bound conformational ion and the catalytic ion that binds to the enzyme-substrate complex inducing catalysis.